Secondary attack rate of chickenpox ?
1. 70%
2. 90%
3. 65%
4. 80%

Correct answer: 2. 90%

Explanation: Ans. is `b' i.e., 9%